Endotracheal Concentration of adrenaline in CPR for pediatric is:
1. 1:10 lakhs
2. 1: 1 lakh
3. 1:10,000
4. 1: 1,000

Correct answer: 4. 1: 1,000

Explanation: Ans. D.)1:1000 Dose of Epinephrine during CPR Adult: 1 mg IV/IO every 3-5 minutes Pediatric: IV/IO dose: 0.01 mg/kg (0.1 mL/kg of 1:10,000 solution) every 3 to 5 min ET dose (if no IV or IO): 0.1 mg/kg (0.1 mL/kg of 1:1,000 solution)